Lymphatic drainage of the oropharynx is mainly through
1. Superficial cervical lymph nodes
2. Submandibular nodes
3. Jugulodigastric nodes
4. Jugulo-omohyoid nodes

Correct answer: 3. Jugulodigastric nodes

Explanation: Lymphatics from oropharynx drain into the upper jugular chain, particularly the jugulodigastric (tonsillar) node. Some parts drain to the posterior cervical group also. The base of the tongue may drain bilaterally.
Lymphatic drainage of nasopharynx - upper deep cervical nodes.